In a patient with history of trauma and X-ray showing fracture of proximal part of medial bone of forearm with dislocation. The muscles which may get paralysed-
1. Flexor carpi ulnaris
2. Adductor pollicis
3. Extensor pollicis longus
4. Opponens pollicis

Correct answer: 3. Extensor pollicis longus

Explanation: Answer- C. Extensor pollicis longus Fracture of proximal part of medial bone of forearm (ulna) with dislocation is Monteggia fracture-dislocation.Most common nerve which may be injured in Monteggia fracture-dislocation is posterior interosseus nerve (PIN).